Which of the following is not a cestode?
1. Diphylobothrium latum
2. Taenia saginata
3. Schistosoma mansonia
4. Echinococcus granulosus

Correct answer: 3. Schistosoma mansonia

Explanation: Ans. (c)(Ref: Parasitology-Protozoology and Helminthology by K.D. Chatterjee, 13th edition)Cestodes can be classified according to their habitat into:(a) Pseudophyllidean Cestodes: Possessing false or slit like grooves, include Dophyllobothrium latum (fish tapeworm), Sporganum mansoni, Sporganum proliferum.(b) Cyclophyllidean Cestodes: Possessing cup-like and round suckers (acetabula) and includes:(c) Adult Worms in Intestines: Taenia saginata (beef tapeworm), Taenia solium (pork tapeworm), Hymenolepis nana (dwarf tapeworm), Hymenolepis diminuta (rat tapeworm), Dipylidium caninum (double pored dog tapeworm).(d) Larval Stages in Man: Echinococcus granulosus (dog tapeworm), Echinococcus multilocularis, Cysticercus cellulosae of T. solium, genus Multiceps.Schistosoma mansonia comes under Trematodes or flukes. It is a blood fluke found in the mesenteric veins of the sigmoido-rectal area and in the branches of the portal vein of the liver.